Among unicystic ameloblastoma high recurrence rate is of:
1. Luminal.
2. Intraluminal.
3. Mural
4. None.

Correct answer: 3. Mural